Intracellular sorting and packing done by:
1. ER
2. Golgi apparatus
3. Ribosome
4. Cytoplasm

Correct answer: 2. Golgi apparatus

Explanation: Ans. B {Golgi apparatus) "Trans Golgi network (TGN) is particularly involved in sorting of proteins '- Harper 28thf487, 2 7th/518Two branches of protein sortingThe rough endoplasmic reticulum branch of protein sortingNewly synthesized proteins are inserted into the ER membraneor lumen from membrane-bound polyribosomes.Proteins then pass through the various subcompartments of the Golgi until they reach the Trans - Golgi Network (TGN), the exit side of Golgi..In the TGS, proteins are sorted and seggregated.The Cytosolic branch of protein sorting